Line joining ant. sup iliac spine to ischial tuberosity and passes a greater trochanter
1. Nelaton's line
2. Showmakers line
3. Cniene's line
4. Perkins line

Correct answer: 1. Nelaton's line

Explanation: A i.e. Nelton's line Measurment of Supratrochanteric Shortening Shortening of limb length produced above the level of trochanter (due to femoral head, neck and hip joint lesions) is known as supratrochanteric shortening. And it is measured by follwing tests.